"Marble bone" appearance is characteristic of:
1. Osteopetrosis
2. Osteogenesis imperfecta
3. Fluorosis
4. Achondroplasia

Correct answer: 1. Osteopetrosis

Explanation: Ans. Osteopetrosis